Iron metabolism and regulation are important for RBC precursor cell. Which of the following helps in regulation of iron metabolism but is not specific for iron?
1. Hepcidin
2. DMT-1
3. Ferroportin
4. Ferritin

Correct answer: 2. DMT-1

Explanation: Ans. (b) DMT-1(Ref: Wintrobe 13ed /pg 811; Robbin's 9th/649; Complete review of Pathology 1st/314)About DMT-1:Mucosal uptake of non-heme iron begins at brush border of mucosal cell, mediated by divalent metal ion transporter 1 (DMT1, also known as Nramp2, SLC11A2).Levels of DMT1 are markedly increased in iron-deficient animals.In addition to iron, DMT I has been shown to transport a variety of divalent metal ions, including Mn2+,Co2+,Cu2+,Zn2+,Cd2+, and Pb2+. (Hence non -specific)It acts as a proton symporter; protons accompany metal ions into the cell.Hepcidin: principal iron regulatory hormone; and is negatively regulates ferroportin on basolateral surface of enterocyte Q